True about Latzko technique of genitourinary fistula repair is
1. Lengthens upper vagina.
2. Excision of fistulous tract completely.
3. Partial colpocleisis.
4. Weakens surrounding tissues.

Correct answer: 3. Partial colpocleisis.

Explanation: Latzko technique is partial colpocleisis of vagina, It shortens vagina.